Atrial fibrillation is common in:
1. Adrenogenital syndrome
2. Addison's disease
3. Hyperthyroidism
4. Von-Willebrand's disease

Correct answer: 3. Hyperthyroidism